The ratio of anaerobe to aerobes in stool is ? 9. The ratio of anaerobe to aerobes in stool is ?
1. 10:01
2. 100:01:00
3. 1000:01:00
4. 10000:1

Correct answer: 3. 1000:01:00

Explanation: Ans. is 'c' i.e., 1000:1